Post-hepatic Portal Hypertension is caused by:
1. Portal vein thrombosis
2. Banti syndrome
3. Budd-Chiari syndrome
4. Congenital hepatic fibrosis

Correct answer: 3. Budd-Chiari syndrome

Explanation: C. Budd-Chiari Syndrome(Ref: Nelson's 20/e p 1973, Ghai 8/e p 320)Postsinusoidal causes of Portal hypertension include: Budd-Chiari syndrome and Veno-occlusive disease.